The names Brechner and Bethune are associated with which of the following devices?
1. Precordial Doppler
2. Transesophageal echocardiography
3. Plethysmography
4. End tidal capnography

Correct answer: 4. End tidal capnography

Explanation: Ans. d. End tidal capnography (Ref: Bethune, R. W. M., and Brechner, V. L. (1968). Detection of venous air embolism by carbon dioxide monitoring. Anesthesiology, 29, 178)Brechner and Bethune are associated with end-tidal capnography.